All of the following statements regarding apoptosis are TRUE, EXCEPT:
1. Considerable apoptosis may occur in tissues before it becomes apparent in histology
2. Apoptotic cells appear round mass of the intensely eosinophilic cytoplasm with dense nuclear chromatin fragments
3. Apoptosis of cells induce inflammatory reaction
4. Macrophages phagocytose the apoptotic cells and degrade them.

Correct answer: 3. Apoptosis of cells induce inflammatory reaction

Explanation: Apoptosis refers to preprogrammed natural or physiological cell death. It occurs without any inflammatory reaction. Features of apoptosis are: Death occur by shrinkage It affects isolated cells It is a gene initiated process, and DNA fragments are small and regular Histologic features: Cell shrinkage Nuclear condensation and fragmentation Membrane budding Buds includes cell organelles Buds detach to form apoptotic bodies Phagocytosis of the apoptotic bodies occur Ref: Textbook of Pathology By Datta page 48.